Vaginal delivary is contraindicated in
1. Central placenta previa
2. Antepartum haemorrhage
3. Previous LSCS
4. Type II anterior placenta previa

Correct answer: 1. Central placenta previa

Explanation: A. i.e. (Central placenta previa) (252 - Dutta 6th)Indication of caesarean section in APH are1. Severe degree of placenta praevia ( Type IIposterior,Type III (Incomplete or partil central) Type IV (central or total). This is indicated for maternal interest even where the baby is dead2. Lesser degree of placenta praevia where amniotomy fails to stop bleeding or fetal distress appears3. Complicating factors associated with lesser degrees of placenta praevia where vaginal delivery is unsafe* Type II posterior is dangerous placenta**